A microbiologist wants to develop a vaccine for prevention of attachment of diarrhoeagenic E.coli to the specific receptors in the gastro-intestinal tract. All of the following fimbrial adhesions would be appropriate vaccine candidates except -
1. CFA-1
2. P1-Pili
3. CS-2
4. K 88

Correct answer: 2. P1-Pili